All are seen in lactose intolerance EXCEPT:-
1. Reducing substances present in stools
2. Alkaline urine
3. Acidic stool
4. Lactase enzyme deficiency

Correct answer: 2. Alkaline urine

Explanation: Lactose intolerance: Due to Brush-border lactase enzyme deficiency Reducing substances positive in stools Explosive stools Acidic stools Perianal excoriation